Blood supply of stomach is/are:
1. Left gastric artery
2. Short gastric artery
3. Lt gastroepiploic artery
4. All

Correct answer: 4. All

Explanation: A. i.e. Left gastric artery; B. i.e. Short gastric artery; C. i.e. Left gastroepiploic artery